Enzyme inactivation is the main mode of resistance to
1. Aminoglycosides
2. Quinolone
3. Rifampicin
4. Glycopeptides

Correct answer: 1. Aminoglycosides

Explanation: Refer KDT 6/e p 720 Resistance to quinolone is due to altered DNA gyrase, to Rifampicin is due to mutation in gene rpo! Reducing it's ability for the target and for glycopeptides like vancomycin due to reduced affintiy6 for target site